A 78-year-old woman has an acute anterior wall MI with hypotension and pulmonary congestion. Her blood pressure is 90/70 mm Hg, pulse 110/min, JVP at 8 cm, and the heart sounds are normal. The lungs have bibasilar crackles, and her extremities are cool and diaphoretic. What would central hemodynamic monitoring reveal?For the above patient, select the hemodynamic parameters that are most likely to apply.
1. decreased right atrial pressure (RAP), low cardiac output (CO), and increased systemic vascular resistance (SVR)
2. increased RAP, decreased CO, increased SVR
3. increased RAP, decreased CO, decreased SVR
4. decreased RAP, increased CO, decreased SVR

Correct answer: 2. increased RAP, decreased CO, increased SVR

Explanation: Cardiogenic shock is characterized by high right atrial pressure (although it can be normal at times), high PA wedge pressure, high systemic vascular resistance, and low cardiac output.